A chronic alcoholic has an elevated serum alpha fetoprotein levels. Which of the following neoplasms is most likely
1. Prostatic adenocarcinoma
2. Multiple myeloma
3. Hepatocellular carcinoma
4. Glioblastoma multiforme

Correct answer: 3. Hepatocellular carcinoma

Explanation: Normal adult value less than 40microgram per lt. 2/3rd of liver cancer produce Afp. Screening but not a definitive test. Source: everyday health. Com